Cleft palate repair is ideally done at
1. 3 months
2. 1 year
3. 3-5 years
4. 6-8 years

Correct answer: 2. 1 year

Explanation: According to bailey and love - It is done between 6 and 18 months